Following statements about Fibrolamellar carcinoma of Liver are TRUE, EXCEPT:
1. Females do not have increased incidence than males
2. Has good prognosis
3. Not associated with liver cirrhosis
4. Serum AFP levels are usually >1000 mg/ltr

Correct answer: 4. Serum AFP levels are usually >1000 mg/ltr

Explanation: In fibrolamellar carcinoma, AFP is within the normal range in most cases. Mild elevations of AFP may be seen in 10-15% of cases, but are usually below 200ng /ml. Fibrolamellar HCC is a disease of younger adults often teenagers and predominantly females. Patients typically have elevated neurotensin levels, normal LFTs and has no cirrhosis. It occurs multifocally in the liver and is non resectable. It shows metastasis to lungs and locoregional lymph nodes. Surgical resection is the best management option, even for metastases, as these tumors respond much less well to chemotherapy than adult-type HCC. Ref: Gastrointestinal and Liver Tumors edited by Wolfgang Scheppach, page 264. Molecular Pathology of Liver Diseases edited by Satdarshan P. S. Monga page 849. Harrison's principles of internal medicine 18 e chapter 92.